Inactivated microorganisms are used in the manufacture of which of the following:
1. Salk vaccine
2. Tetanus toxoid
3. Sabin's oral vaccine
4. All of the above

Correct answer: 1. Salk vaccine